Best investigation endometriosis is
1. Laparoscopy
2. USG
3. X-ray pelvis
4. CT Scan

Correct answer: 1. Laparoscopy

Explanation: Laparoscopy is an operation performed in the abdomen or pelvis through small incisions with the aid of a camera. 
The laparoscope aids diagnosis or therapeutic interventions with a few small cuts in the abdomen